Muscles paralysed in Erb's paralysis are all except -
1. Biceps
2. Triceps
3. Brachioradialis
4. Brachialis

Correct answer: 2. Triceps

Explanation: Erb' s palsy is due to injury to the C5 nerve root & rarely the C6 nerve root is injured . * Effects of injury - at shoulder : paralysis of deltoid , rhomboids , supra & infraspinatus & teres minor muscles . This results in loss of shoulder abduction & external rotation . - at elbow : biceps & brachialis muscles are paralyzed . This results in loss of flexion of elbow joint. - at forearm : supinator muscle paralyzed resulting in loss of supination of forearm - combined effect of injury is an arm hanging loose by the side of the trunk . The shoulder is internally rotated , the elbow is in extension , forearm is pronated & wrist is in flexion . This characteristic posture is popularly known as policeman or waiter 's tip. - apart from this , there may sensory loss on outer aspects of the forearm both in front & back. REF:textbook of orthopedics, John Ebenezer,4th edition,pg.no.350